Component of PQLI -
1. Neonatal mortality rate
2. Infant mortality rate
3. Perinatal mortality rate
4. None of the above

Correct answer: 2. Infant mortality rate

Explanation: PQLI- Physical Quality of Life Index is one index to measure quality of life.It consolidates 3 indicators -infant mortality rate -life expectancy at age one -literacy For each component score 0 to 100 given.The composite index is calculated by averaging three indicators,giving equal weight to each.Resulting PQLI is also scaled 0 to 100. Parks textbook of preventive and social medicine.K Park. Edition 23.Pg no: 17